Smoking is generally not associated as a risk factor with -
1. Small cell carcinoma
2. Respiratory bronchiolitis
3. Emphysema
4. Bronchiolitis obliterans organizing pneumonia

Correct answer: 4. Bronchiolitis obliterans organizing pneumonia